Strength of sewage is expressed in terms of all except
1. Suspended particles
2. E-Coli Count
3. Chemical oxygen demand
4. Biological oxygen demand

Correct answer: 2. E-Coli Count